Thiamine acts as a cofactor in
1. Pyruvate to oxalate
2. Malonate to oxaloacetate
3. Succinate to fumarate
4. Pyruvate to acetyl CoA

Correct answer: 4. Pyruvate to acetyl CoA

Explanation: Thiamine as a cofactor in ReactionsEnzymesPyruvate - Acetyl CoAPyruvate dehydrogenasea-ketoglutarate - Succinyl CoAa-ketoglutarate dehydrogenaseErythrose-4-PO4 + Xylulose-5-PO4 - Fructose-6-PO4 + Glyceraldehyde-3-PO4TransketolaseBranched-chain amino acids - Branched chain keto acidsBranched-chain amino acid dehydrogenase(Refer: DM Vasudevan, Textbook of Biochemistry, 7th edition, pg no: 478)